Mikulicz cells & Russell bodies are characteristic of:
1. Rhinoscleroma
2. Rhinosprodiosis
3. Plasma cell disorder
4. Lethal midline granuloma

Correct answer: 1. Rhinoscleroma

Explanation: Rhinoscleroma (RS) is a chronic specific granulomatous disease of the upper respiratory tract. Clinically, RS is a slowly progressive disease with insidious onset and indolent course affecting primarily the nasal cavity in 95 to 100% of cases with or without involvement of the nasopharynx, nasal sinuses, pharynx, larynx, trachea and bronchi. The presenting features and imaging techniques provide a presumptive diagnosis of RS but histopathological examination remains the mainstay for final definitive diagnosis. Catarrhal stage shows a nonspecific sub-epithelial infiltrate of polymorphonuclear leukocytes with granulation tissue. The diagnostic histological changes of RS are only seen during granulomatous phase. These include dense infiltration by lymphocytes, plasma cells, Russell bodies and the pathognomonic large Mikulicz cells; foamy macrophages with numerous cytoplasmic vacuoles containing viable and nonviable Klebsiella bacilli. Mickulicz cells are sparse or absent in the initial catarrhal and final sclerotic stages and most abundant during the second proliferative phase.